Second sight phenomenon is seen in
1. Nuclear cataract
2. Cortical cataract
3. Senile cataract
4. Iridocyclitis

Correct answer: 1. Nuclear cataract

Explanation: Second sight - improved in near vision and presbyopia correct itself Nuclear cataract - Hemeralopia (day blindness) - Decreased distant vision - Seconded vision